Class III antiarrhythmic agents are all except ?
1. Sotalol
2. Amiodarone
3. Verapamil
4. Bretylium

Correct answer: 3. Verapamil

Explanation: Ans. is 'c' i.e., Verapamil o Class III antiarrhythmics are amiodarone, bretylium, dofetilie, Ibutilide.o Sotalol also posses class III activity.o Calcium channel blockers (verapamil) have class IV activity.